Flaring of anterior ends of the ribs is characteristically seen in -
1. Neurofibromatosis
2. Gout
3. Rickets
4. Hypothyroidism

Correct answer: 3. Rickets

Explanation: MULTIPLE SYMMETRICAL ANTERIOR RIB ENLARGEMENT, FLARING, OR CUPPING * Achondroplasia * Normal variant * Rickets * Scurvy * Thanatophoric dysplasia